Ventral pancreatic duct give rise to -
1. Body
2. Tail
3. Neck
4. Uncinate process

Correct answer: 4. Uncinate process

Explanation: Ans. is 'd' i.e., Uncinate process o Pancreas is developed from the two pancreatic budsi) Dorsal pancreatic bud:- It is larger and most of the pancreas is derived from it i.e. most of the head, and whole neck, body & tail.ii) Ventral pancreatic budIt is smaller and forms lower part of the head of pancreas including uncinate process.